Nucleus of basal ganglia
1. Dentate
2. Thalamus
3. Caudate
4. Red nucleus

Correct answer: 3. Caudate

Explanation: Ans. (c) Caudate(Ref: Ganong, 25th ed/p.243)Basal ganglia nuclei are,#Caudate and Putamen#Globus pallidus#Substantia nigra#Subthalamic nucleus